All ofthe following are associated with normal pressure spontaneous CSF leaks, Except -
1. Pseudo tumor Cerebri
2. Empty Sella Syndrome
3. Encephalocele
4. Meningiocele

Correct answer: 1. Pseudo tumor Cerebri